Acyclovir is given in :
1. Enteric fever
2. Malaria
3. Herpes infection
4. Bacillary dysentery

Correct answer: 3. Herpes infection